Which one of the following is used to bleach a discolored endodontically treated tooth?
1. Ether
2. Chloroform
3. Superoxol
4. Sodium hypochlorite

Correct answer: 3. Superoxol